Which of the following is true about pterygium?
1. Probe can be passed underneath the pterygium at the limbus
2. Associated with exposure to infrared radiation
3. Bare sclera technique has 30-80% recurrence
4. Elastotic degeneration with distortion of Descemet's membrane

Correct answer: 3. Bare sclera technique has 30-80% recurrence

Explanation: Limbal conjunctival autograft transplantation (LLAT) to cover the defect after pterygium excision is the latest and most effective technique in the management of pterygium. In bare sclera technique, some part of conjunctiva is excised and its edges are sutured to the underlying episcleral tissue leaving some bare part of sclera near the limbus ref: A K KHURANA OPHTALMOLOGY,E4, Page-82